Apoprotein A is found in a) Chylomicronsb) VLDLc) HDLd) LDL
1. ac
2. b
3. cd
4. d

Correct answer: 1. ac

Explanation: HDL > Chylomicrons 

The major apolipoprotein of HDL is apo-A, whereas major apolipoprotein of VLDL, LDL, and chylomicrons is apo-B; apoB-100 in VLDL and LDL, and apoB-48 in chylomicrons.
Apo-A → HDL, chylomicrons
ApoB-100 → LDL, VLDL, EDL
ApoB-48 → Chylomicrons
Apo-C → Chylomicrons, VLDL, HDL
Apo-D → HDL
Apo-E → Chylomicrons, VLDL, HDL